Treatment for peritonsillar abscess is:
1. Immediate tonsillectomy
2. Incision and drainage
3. Antibiotics alone
4. I and D plus antibiotics

Correct answer: 4. I and D plus antibiotics

Explanation: (d) I and D plus antibiotics(Ref. Scott Brown, 8th ed., Vol 3; 797)The treatment of peritonsillar abscess is incision and drainage along with antibiotics followed by interval tonsillectomy.